Which of the following results in the least vertical transmission of HIV?
1. Forceps delivery
2. Normal delivery
3. Breast feeding
4. Cesarean Section

Correct answer: 4. Cesarean Section

Explanation: Caesarean section before onset of labour and rupture of membranes approximately halves the risk of mother-to-child transmission. Timing Transmission rate During pregnancy 5-10% During labour and delivery 10-15% During breastfeeding 5-20% Overall without breastfeeding 15-25% Overall with breastfeeding to six months 20-35% Overall with breastfeeding to 18-24 months 30-45%